Benign Prostatic hypertrophy results in obstruction of the urinary tract. The specific condition is associated with enlargement of the
1. Anterior lobes
2. Posterior lobes
3. Median lobe
4. Peripheral zone

Correct answer: 3. Median lobe

Explanation: Anatomically the median and lateral lobes are usually enlarged, due to their highly glandular composition. BPH typically affects the submucous group of glands in the transitional zone The anterior lobe has little in the way of glandular tissue and is seldom enlarged. Carcinoma of the prostate typically occurs in the posterior lobe. Ref BDC vol2 6e pg403